Annexin V is a marker of
1. Necrosis
2. Gangrene
3. Aging
4. Apoptosis

Correct answer: 4. Apoptosis

Explanation: Ans. (d) Apoptosis(Ref: Robbins 9th/pg 53; Robbins 9th/pg 29-30)Apoptotic cells express phosphatidylserine/thrombos - pondinQ on the outer layer of plasma membrane because of which these cells are recognized by the dye Annexin V